Denosumab is used in:
1. Osteomalacia
2. Osteoarthritis
3. Osteoporosis
4. Osteosarcoma

Correct answer: 3. Osteoporosis

Explanation: C i.e. OsteoporosisRef: GG,12th edition, page 1287Explanation:DenosumabRANKL binds to its cognate receptor RANK on the surface of precursor and mature osteoclasts, and stimulates these cells to mature and resorb bone.Osteoprotegerin (OPG), which competes with RANK for binding to RANKL, is the physiological inhibitor of RANKL.Denosumab is a human monoclonal antibody that binds with high affinity to RANKL, mimicking the effect of OPG, and thereby reducing the binding of RANKL to RANK.Denosumab blocks osteoclast formation and activation. It increases BMD and decreases bone turnover markers when given subcutaneously once every 6 months.Indications:Prevention of skeletal-related events in patients with bone metastases from solid tumors,Treatment of adults and skeletally mature adolescents with giant cell tumor of bone that is unresectable or where surgical resection is likely to result in severe morbidity.